Highest fat content is present in:
1. Rice
2. Wheat
3. Bajra
4. Jowar

Correct answer: 3. Bajra

Explanation: Fat content of food items: Food item Fat content Jowar 4% Bajra 6.5% - Highest fat content Rice 3% Wheat 3%